In comparison to cortical nephron, juxtamedullary nephron
1. More in numbers
2. Has long loop of Henle
3. Glomerulus is located superficially in cortex
4. Their efferent arteriole has no connection with vasa-recta

Correct answer: 2. Has long loop of Henle

Explanation: Juxtamedullary nephron one whose proximal convoluted tubule is close to the corticomedullary border and whose loop of Henle extends deep into the renal medulla. Ref: Ganong's review of medical physiology; 24th edition; page no; 674 Ref of img: